Which intrinsic ocular muscle is supplied by parasympathetic innervation -
1. Superior rectus
2. Superior oblique
3. Constrictor papillae
4. Dilator pupillae

Correct answer: 3. Constrictor papillae

Explanation: Ans. is 'c' i.e., Constrictor pupillae Intrinsic ocular muscles (intraocular muscles)o Intraocular muscles are -A) Muscles of iris# There are two types of muscles in iris that control the size of pupili) The iris sphinctor or constrictor pupillae (circular muscles):- These muscles are innervated by the postganglionic parasympathetic fibres from Edinger westphal nucleus via 3rd nerve and ciliary ganglion. These muscles cause constriction of pupil (Miosis).ii) The iris dilator or dilator pupillae (radial muscles):- These muscles are innervated by sympathetic system via postganglionic sympathetic fibres for the dilator pupillae from neurons in the superior cervical ganglion. These muscles cause pupillary dilatation (mydriasis).B) Ciliary muscles# These are innervated by the postganglionic parasympathetic fibers from EWN via 3rd nerve and ciliary ganglion. These muscles help in accommodation.